Which statement best describes the ureter?
1. Is narrowest as it crosses the transverse process of L4.
2. Is crossed anteriorly by the gonadal vessels.
3. Is crossed anteriorly by the root of the mesentery on the left.
4. It courses superior to the uterine vessels.

Correct answer: 2. Is crossed anteriorly by the gonadal vessels.

Explanation: The gonadal vessels cross the ureter anteriorly. The ureter has three narrow points: as it arises from the renal pelvis, as it crosses the pelvic brim and as it enters the bladder. The first of these is the tightest. These points are clinically important because they represent the likely site of impaction of a renal stone. The root of the mesentery crosses the ureter on the right side. The ureter courses inferior to the uterine vessels which run in the inferior edge of the broad ligament. It is therefore at risk in a hysterectomy.